Commonly associated in tetralogy of Fallot is:
1. Aberrant right subclavian artery
2. Right sided aortic arch
3. Aortopulmonary window
4. Coarctation of aorta

Correct answer: 2. Right sided aortic arch

Explanation: Ans BAssociations of Tetralogy of Fallot (TOF) are:Cardiovascular associations#Right-sided aortic arch: seen in 25% of cases (Most common Q)#Pulmonary hypoplasia with or without atresia.#Atrial septal defect (ASD) or Patent ductus arteriosus (PDA) (termed pentalogy of Fallot)#Coronary artery anomalies.#Persistent left-sided superior vena cava.Extra-cardiovascular associations: in 15% of cases#Congenital lobar emphysema (CLE)#VACTERL association#Tracheo-esophageal fistula#DiGeorge syndrome#Prune belly syndrome#Fetal rubella syndrome